Most common cause of breech presentation is
1. Prematurity
2. Contracted pelvis
3. Oligohydramnios
4. Placenta previa

Correct answer: 1. Prematurity

Explanation: Causes of breech presentation : Prematurity - Most common cause Undue mobility of the fetus Fetal abnormality Favorable adaptation Ref: Dutta Obs 9e pg 352.